Snow storm ascites is seen in:
1. Meconium ileus
2. Hirschsprung's disease
3. Ileocaecal tuberculosis
4. Pseudomyxoma Peritonei

Correct answer: 1. Meconium ileus

Explanation: MECONIUM PERITONITIS IN MECONIUM ILEUS - Plain X-ray of abdomen post-natally showed specks of calcification mainly at the flanks, while on ultrasonography, specks of high echogenic areas seen throughout the abdomen which has been described as "snow-storm sign".